Which of the following is indication for using raloxifine:
1. Chronic renal failure
2. Hypothyroidism
3. Renal dystrophy
4. Post-menopausal osteoporosis

Correct answer: 4. Post-menopausal osteoporosis

Explanation: Ans. D. Post-menopausal osteoporosisRaloxifine has antioestrogenic effect on breast and endometrial tissue and estrogenic effect on bone. Therefore, it inhibits the bone resorption and indicated for the use in post-menopausal osteoporosis.